Mifepristone is used in -
1. Medical terminations of pregnancy
2. Breast carcinoma
3. Prostatic carcinoma
4. Dysfunctional uterine bleeding

Correct answer: 1. Medical terminations of pregnancy

Explanation: Ans. is 'a' i.e., Medical termination of pregnancy Mifepristone Mifepristone is a 19-norsteroid with potent competitive antiprogestational, antiglucocoicod and antiandrogenic action. Mifepriston is a partial agonist and competitive antagonist at both A and B isoforms of progesterone receptors. Uses Termination ofpregnancy 3. Postcoital contraceptive 5. Induction of labour Cervical ripening 4. Once-a-month contraceptive 6. Cushing's syndrome o Uses under evaluation are-in endometriosis, uterine fibroid, certain breast cancers and meningioma.